Which of the following drug treatment increases thirst and causes dilute diuresis ?
1. Phenobarbitone
2. Lithium
3. Chlorpromazine
4. Clozapine

Correct answer: 2. Lithium